Major criteria for rheumatic fever are
1. Carditis
2. Arthalgia
3. Fever
4. All of the above

Correct answer: 1. Carditis

Explanation: Carditis is a major criteria for Rheumatic fever. Ghai essential of pediatrics, eighth edition, p.no:434